Drug for premature ejaculation?
1. Dapoxetine
2. Chlorpromazine
3. Citalopram
4. Escitalopram

Correct answer: 1. Dapoxetine

Explanation: Ans. is 'a' i.e., Dapoxetine Dapoxetine is a SSRI which has been developed and is being promoted for delaying premature ejaculation, a property common to many SSRIs and some TCAs It acts rapidly and can be taken 1 hour before sexual intercourse.